Prolactin is decreased by:
1. Dopamine excess
2. Metoclopromide
3. Hypothyroidism
4. Emotional stress

Correct answer: 1. Dopamine excess

Explanation: (A) Dopamine excess # Prolactin:> Prolactin (PRL) or Luteotropic hormone (LTH) is a peptide hormone primarily associated with lactation> Conditions associated with elevated prolactin secretion> Hyperprolactinaemia is the term given to having too-high levels of prolactin in the blood.> Prolactinoma> Excess thyrotropin-releasing hormone (TRH), usually in primary hypothyroidism> Many anti-psychotic medications> Emotional stress> Pregnancy and Lactation.> Conditions associated with decreased prolactin> Bulimia, Excess dopamine